Leucine is a aminoacid with a
1. Nonpolar side chain
2. Polar side chain
3. Negatively charged side chain
4. Positively charged side chain

Correct answer: 1. Nonpolar side chain

Explanation: Leucine is non-polar amino acid, i.e. its side chain (R) is nonpolar.